Codon consist of
1. 3 base pair
2. 2 base pair
3. Two nucleotide
4. 5 base pair

Correct answer: 1. 3 base pair

Explanation: DNA is a reference for proteins, which are the functional molecules in cells. These are comprised of 20 unique amino acids, and each is coded for by a stretch of DNA known as a codon. Codons are always 3 base-pairs (nucleotides) in length.Ref: Harper's Biochemistry; 30th edition